Agent of first choice in an acute attack of Prinzmetals angina is -
1. Diltiazem
2. Nitrates
3. Propranolol
4. Verapamil

Correct answer: 2. Nitrates